Who is the Father of modern Dermatology
1. Marque M Roubeie
2. Pohla-Gubo
3. Falik Zaccai TC
4. Thomas B Fitzpatrick

Correct answer: 4. Thomas B Fitzpatrick

Explanation: Thomas B Fitzpatrick is Father of modern Dermatology.